Visceral larva migrans is caused by:
1. Ascariasis
2. Toxocaria
3. Schistosomiasis
4. Clonorchis Bushki

Correct answer: 2. Toxocaria

Explanation: Toxocaria